During DNA replication which bond breaks:
1. Phosphodiester bonds
2. Phosphate bond
3. Hydrogen bond
4. Glycosidic bonds

Correct answer: 3. Hydrogen bond

Explanation: Answer:c. Hydrogen bond When DNA replicates, a helicase enzyme "unzips" the double helix, breaking the hydrogen bonds that hold it together in the centerThe two strands of the double helix separate when hydrogen bonds between the paired bases are disrupted. Disruption can occur in the laboratory if the pH of the DNA solution is altered so that the nucleotide bases ionize, or if the solution is heated.